The atrial muscle of the heart produces a hormone that:
1. Decreases blood pressure.
2. Increases blood pressure.
3. Causes vasoconstriction.
4. Facilitates the release of renin.

Correct answer: 1. Decreases blood pressure.

Explanation: Atrial natriuretic peptide It is produced mainly by cardiac muscle cells of the right atrium. It inhibits the release of renin and causes the kidneys to decrease the resorption of sodium and water. Therefore it decreases blood pressure